Neurological defect seen in fetus of diabetic mother is?
1. Caudal regression
2. Neural tube defect
3. Anencephaly
4. All of the above

Correct answer: 4. All of the above

Explanation: ANSWER: (D) All of the aboveREF: Dutta 6th ed p. 287, Current Diagnosis 8; Treatment Obstetrics & Gynecology, 10th edition chapter 18, Willians 22nd edition Table 52-8, http://en.wikipedia.org/wiki/Gestational_ diabetesCONGENITAL MALFORMATIONS IN INFANTS OF WOMEN WITH DIABETESAnomalyRatios of InddenceaCaudal regressionSitus inversusSpina bifida, hydrocephaly, or other central nervous system defectAnencephaly2528423Heart anomaliesAtrial septal defectsVentricular septal defectsTransposition of the great vesselsCoarctation of the aortaTetralogy of FallotTruncus arteriosusDextrocardiaCardiomegaly4Anal/rectal atresiaRenal anomaliesAgenesisCystic kidneyDuplex ureter354423Ratio of incidence is in comparision with the general population.